A 48-year-old post-menopausal lady presents with an 8 cm breast lump that is adherent to the skin, with one firm Apical lymph node in the axilla and one more in Ipsilateral. The supraclavicular region with no distant mets clinically. TNM staging is:
1. T3N2M0
2. T4N3CM0
3. T4N2CM0
4. T3N3M0

Correct answer: 4. T3N3M0